Which of the following drug is most commonly used world wide in maintenance doses for opioid dependence?
1. naltrexone
2. Methadone
3. Imipramine
4. Disulfiram

Correct answer: 2. Methadone

Explanation: Ans. is 'b' i.e., Methadone Methodone maintenance is the most common form of pharmacoligical treatment for opioid dependence.